Amyloid deposits stain positively with all of the following except
1. Congo Red
2. Crystal violet
3. Methenamine silver
4. Thioflavin ?

Correct answer: 3. Methenamine silver

Explanation: . Methenamine silver